Forward movement of mandible is done by:
1. Lateral pterygoid
2. Medial pterygoid
3. Tern poralis — anterior fibers
4. Temporalis — posterior fibers

Correct answer: 1. Lateral pterygoid